Nasal swabs preserved in -
1. Drowning
2. Anaphylaxis
3. Cocaine poisoning
4. None

Correct answer: 3. Cocaine poisoning

Explanation: Ans- C. Ref- Textbook of Forensic Medicine and Toxicology, Fifth Edition - Krishan Vij Explanation - Cocaine can be recovered by sampling from recent injection sites, or by swabs from the nasal mucosa. Brain is an excellent source for its detection where cocaine may be found not only in dopamine-rich areas such as caudate, putamen, and nucleus accumbens, but also in other extrastriatal regions.